A man connected to a body plethysmograph for estimation of FRC inspires against a closed glottis. Which of the following statements is true -
1. The pressure in both the lung and the box increase
2. The pressure in both the lung and the box decrease
3. The pressure in the lung decrease, but that in the box increase
4. The pressure in the lung increase, but that in the box decrease

Correct answer: 3. The pressure in the lung decrease, but that in the box increase

Explanation: Ans. (c) The pressure in the lung decrease, but that in the box increase(Ref: Ganong, 25th ed/p.630)Body plethysmography is based on the principle of Boyle's Law which states that volume of a gas is inversely proportional to the pressure of that gas at constant temperatureReciprocal changes in Pressure and volume (Boyle's law) during plethysmography During inspirationDuring expirationIn subject's LungVolume increasesPressure decreasesVolume decreasesPressure increasesIn boxVolume decreasesPressure increasesVolume increasesPressure decreases